Contraindication of resection in cholangiocarcinoma are all except
1. Involvement of main trunk of portal vein
2. Hepatic atrophy with contralateral bile duct encasement
3. Hepatic atrophy with contralateral portal vein encasement
4. Hepatic atrophy with ipsilateral bile duct involvement

Correct answer: 4. Hepatic atrophy with ipsilateral bile duct involvement

Explanation: Criteria of Unresectability in Hilar cholangiocarcinoma Hepatic duct involvement upto secondary radicals bilaterally Encasement or occlusion of the main portal vein proximal to its bifurcation Atrophy of one lobe with encasement of contralateral portal vein branch Atrophy of one lobe with contralateral involvement of secondary biliary radicals Histologically proven metastasis to N2 lymph nodes Liver, lung or peritoneal metastasis In hilar cholangiocarcinoma, several early branches of left hepatic duct drain the caudate lobe and can be involved early with the tumor Consideration for routine caudate Lobectomy should be made in these cases Ref: Sabiston 20th edition Pgno :1514-1518